Regarding HIV which of the following is not true?
1. It is a DNA retrovirus
2. Contains Reverse Transcriptase
3. May infect host CD4 cells other than T lymphocytes
4. Causes a reduction in host CD4 cells at late stage of disease

Correct answer: 1. It is a DNA retrovirus

Explanation: Ans. is 'a' i.e., It is a DNA retrovirus(Ref: Ananthanarayan, 9th/e, p. 571, 574 and 8th/e, p. 570)* HIV is a RNA virus (not DNA).* It contains reverse transcriptase enzyme, which is a characteristics feature of retroviruses.* The receptor for the virus is the CD4 antigen on surface. The cells affected are:- CD4 T Cells (major target).- B lymphocytes.- Monocytes and macrophages.- Langerhans cells in dermis.- Glial cells and microglia in the CNS.- Follicular dendritic cells from tonsils can be infected by HIV without the involvement of CD4.* CD4 T cells are reduced and T4:T8 Cell ratio is reversed.